Strong correlation with colorectal cancer is seen in
1. Peutz-Jegher's polyp
2. Familial polyposis coli
3. Juvenile polyposis
4. Hyperplastic polyp

Correct answer: 2. Familial polyposis coli

Explanation: NON NEOPLASTIC POLYPSPOLYPSLOCATIONHISTOLOGICAL TYPERISK OF MALIGNANCYASSOCIATED LESIONSHyperplastic polypscolonHyperplastic colonic epithelial celssRareJuvenile polypsLarge and small intestine, stomachHamartomasrarePeutz jeghers syndromeJejunum(mainly)hamartomasrarePigmentation in the mouth.tumours of the ovary, breast, endometrium, and pancreas.NEOPLASTIC POLYPSTubular adenomatous polypsLarge and small intestine, stomachadenoma1-3%Villous adenomasLarge intestineadenoma40%Familial polyposis coliLarge intestineadenoma100%Gardner's syndromeLarge and small intestineadenoma100%Bone and soft tissue lesions, ampullary cancer, congenital hypertrophy of pigment epitheliumTurcot's syndromeLarge intestineadenoma100%Brain tumors(Ref: Harrison's 18/e768,769,7770)